Bull's neck is characteristically seen in:
1. Hamartoma of Lung
2. Diphtheria
3. Glaucoma
4. Hepatic Candidiasis

Correct answer: 2. Diphtheria

Explanation: Faucial diphtheria : commonest type of diphtheria. Characterized by fever, sore throat, pseudo membrane over fauces. Cervical adenitis with sub-mandibular edema is called bull neck.